Polychromatic lustre is seen in:
1. Complicated cataract
2. Diabetes mellitus
3. Post-radiation cataract
4. Congenital cataract

Correct answer: 1. Complicated cataract

Explanation: Complicated cataract